Most important factor determining the strength of a pulse?
1. Mean BP
2. TPR
3. Pulse pressure
4. None

Correct answer: 3. Pulse pressure

Explanation: Ans. is 'c' i.e., Pulse pressureThe Strength (or amplitude or volume) of pulse depends on the volume of blood ejected out with each beat (Stroke volume)and extent of elasticity (compliance) of arterial wall, both of which are determinant of pulse pressure (i.e. systolic Pressure - diastolic pressure)."The pulse strength indicates the strength of ventricular contraction and cardiac output, If The pulse is strong, then systolic pressure is hiCh. If it is weak systolic pressure has fallen and medical intervention may be warranted."